Seal finger and whale finger are associated with -
1. Listeria
2. Erysipelothrix
3. Corynebacterium
4. Treponema

Correct answer: 2. Erysipelothrix

Explanation: Ans. is 'b' i.e., Erysipelothrix